Sublimation is the conversion of a:
1. Solid directly to gas
2. Gas to liquid and then to solid
3. Gas directly to liquid
4. Solid to liquid and then to gas

Correct answer: 1. Solid directly to gas

Explanation: It is possible for some solids to change directly to a vapor by a process called sublimation as seen in dry ice; this, however, has no practical importance as far as dental materials are concerned.
Sublimation is the conversion of a solid directly to gas.
Reference: PHILLIPS’ SCIENCE OF DENTAL MATERIALS, 12th ed page no 18